Half-Life of Cobalt-60
1. 30 years
2. 5.2 years
3. 74.5 days
4. 6 hours

Correct answer: 2. 5.2 years

Explanation: Cobalt-60 – 5.2 years
Cesium-137 – 30 years
Iridum-192 – 74.5days